Which of the following is a skeletal muscle relaxant that acts as a central a2 adrenergic agonist:
1. Tizanidine
2. Brimonidine
3. Chlormezanone
4. Quinine

Correct answer: 1. Tizanidine

Explanation: * Tizanidine and brimonidine are alpha2 adrenergic agonists. Tizanidine is used as a centrally acting muscle relaxant whereas brimonidine is used topically for the treatment of glaucoma. * Chlormezanone is a centrally acting muscle relaxant that acts by inhibiting the spinal internuncial neurons. * Quinine is a directly acting peripheral muscle relaxant.